Most common carcinoma is associated with IVC metastasis
1. Small cell carcinoma lung
2. Gastric adenocarcinoma
3. Renal cell carcinoma
4. Papillary carcinoma thyroid

Correct answer: 3. Renal cell carcinoma

Explanation: Ans is 'c' i.e. Renal cell carcinoma The one of the striking characteristics of RCC is to invade renal vein and metastasize into IVC.Through bloodRenal cell carcinomaPheochromocytomaAdrenocoical carcinomaUterine sarcomas (Lemmyomatosis, endometrial stromal cell sarcoma)Germ cell tumors (embryonal, teratocarcinoma)Direct invasionRetroperitonel soft tissue tumors (hposarcoma, leipmyosarcoma, malignant fibrous histiosarcoma )Hepatic tumors (cholangiocarcinoma, HCC)Pancreaticodudenal tumor.